Psychrometer is used to measure –
1. Humidity
2. Air velocity
3. Room temperature
4. Radiant temperature

Correct answer: 1. Humidity

Explanation: Humidity is measured by

Dry and wet Bulb hygrometer
Sling psychrometer
Assmann psychrometer